In tetanus infection:
1. The disease is produced by the endotoxin of bacillus tetani
2. The toxin travels along the nerves to CNS
3. A child under the age of one year has an inborn immunity
4. The spasm does not affect respiration

Correct answer: 2. The toxin travels along the nerves to CNS